Kupffer cells in liver are responsible for:
1. Lytic functions
2. Excretory functions
3. Absorptive functions
4. Phagocytic functions

Correct answer: 4. Phagocytic functions

Explanation: Ans. D: Phagocytic functions Kupffer cells/Browicz-Kupffer cells are specialized macrophages located in the liver lining the walls of the sinusoids that form part of the reticuloendothelial system.